Which of the following drugs is associated with priapism?
1. Hydralazine
2. Prazocin
3. Resperidone
4. All the above

Correct answer: 4. All the above

Explanation: Ans. is 'd' i.e., All the above Some drugs that may couse priapism* Anticoagulants* Phenothiazines* Haloperidol* Phentolamine* hydralazine* Prazosin* Nifedipine* Risperidone* Olanzapine* Trazodone* Papaverine